Granulomatous uveitis is seen in all of the following except:
1. Uveitis with ankylosing spondylitis
2. Sympathetic ophthalmitis
3. Tubercular uveitis
4. Uveitis in sarcoidosis

Correct answer: 1. Uveitis with ankylosing spondylitis

Explanation: Ans. Uveitis with ankylosing spondylitis